Ability of a screening test to diagnose true positive refers to:
1. Relative risk
2. Sensitivity
3. Specificity
4. Attributable risk

Correct answer: 2. Sensitivity

Explanation: Ans. B: Sensitivity